The tuberculous bacilli was discovered by-
1. Robert Koch
2. Edward Jenner
3. Louis pateur
4. Jonas Salk

Correct answer: 1. Robert Koch

Explanation: Ans. is 'a' i.e., Robert koch